A 60 yr old lady presented with mild hearing loss & pulsatile tinnitus of right ear. Otoscopy revealed following findings. Most probable diagnosis is
1. Acoustic neuroma
2. Glomus tumor
3. Squamous cell carcinoma
4. Aural Polyp

Correct answer: 2. Glomus tumor

Explanation: FINDINGS OF GLOMUS TUMOR: Otoscopy shows a red reflex through intact tympanic membrane. "Rising sun" appearance is seen when tumour arises from the floor of middle ear. Sometimes,tympanic membrane appears bluish and may be bulging. "Pulsation sign" (Brown sign) is positive, i.e. when ear canal pressure is raised with Siegel's speculum, tumour pulsates vigorously and then blanches; reverse happens with release of pressure All these findings suggest diagnosis of Glomus tumor